Preganglionic parasympathetic nerve fiber which supply pelvic viscera is/are -a) Ventral rami of S2S3S4 b) Hypogastric plexusc) Pudendal nerved) Pelvic Splanchnic nervee) Inferior mesenteric plexus
1. b
2. ad
3. ac
4. ab

Correct answer: 2. ad

Explanation: Ventral rami of S2-4 gives rise to the pelvic splanchnic nerve. They act as preganglionic parasympathetic fibers to pelvic organs.